stress inconiinent bladder vials repeired by :
1. Manchester
2. Forhergill's
3. Marshall Merchatti Krantz
4. Bonney's

Correct answer: 3. Marshall Merchatti Krantz

Explanation: Marshall Merchatti Krantz